Typical feature of thoracic vertebrae ?
1. Heart shaped
2. Large body
3. Triangular vertebral foramen
4. None

Correct answer: 1. Heart shaped

Explanation: Ans. is 'a' i.e., Heart shaped Thoracic vertebrae There are 12 thoracic vertebrae. T2-T9 are typical thoracic vertebrae and Tl, TIO, Tl 1, T12 are atypical thoracic vertebrae. Characteristic features of typical thoracic vertebra : -Body is medium sized and heart shaped.Spinous process is long and inclined downward.Vertebral foramen is small and circular.Transverse process possess costal facets for rib articulation (last two vertebrae lack these facets). Costal facets are also present on the sides of body for articulation of heads of ribs.Superior articular facet is directed backwards and laterally, and inferior articular facet faces forward and medially. Articular procesess are vertically placed and interlocked; So dislocation can only occur if they are fractured.